Segment I of the liver is known as:
1. Quadrate lobe
2. Caudate lobe
3. Riedel's lobe
4. Left lobe

Correct answer: 2. Caudate lobe

Explanation: Most surgeons still refer to segment I as the caudate lobe, rather than segment I. Ref: Schwartz's principle of surgery 9th edition, chapter 31.